Secretomotor innervation to Parotid gland relays in:
1. Otic ganglion
2. Geniculate
3. Ptergopalatine
4. Ciliary

Correct answer: 1. Otic ganglion

Explanation: Ref: Grays Anatomy 40th editionExplanation:Parasympathetic PATHWAYTympanic nerve arises from CN IX and emerges with it from the jugular foramen.|Tympanic nerve enters the middle ear via the tympanic canaliculus in the petrous part of the temporal bone.|Tympanic nerve forms the tympanic plexus on the promontory of the middle ear.|The lesser petrosal nerve arises as a branch of the tympanic plexus.|Lesser petrosal nerve penetrates roof of tympanic cavity (tegmen tvmpani) to enter middle cranial fossa.|Lesser petrosal nerve leaves the cranium thru the foramen ovale.|Parasymp fibers synapse in the ohc ganglion|Postsvnaptic fibers pass to parotid gland via branches of the auriculotemporal nerve (CN V3)